The treatment of choice of fracture of radius and ulna in a an adult is:
1. Plaster for 4 weeks
2. Closed reduction and calipers
3. Only plates
4. Kuntscher nails

Correct answer: 3. Only plates

Explanation: C i.e. Only plates Fracture both bones of forearm may result in severe loss of function unless adequately treated by restoring normal relationship of radius and ulnaQ. The relationship of radio humeral, ulno humeral, proximal radioulnar, radio carpal and distal radioulnar joints and the interosseous space must be anatomical or some functional impairment will occur. In addition to regaining length, and axial alignment (by reducing angulation) , achieving normal rotational alignment is necessary if a good, range of pronation & supination is to be restored. Forearm rotation is vulnerable to any malalignment of radius and accurate rotational as well as axial reduction is necessary Malunion and nonunion occur more frequently because of the difficulty in reducing and maintaing the reduction of two parallel bones in the presence of pronating and supinating muscles that have angulating and rotational influences Because of these factors OR&IF (by plating)Q of displaced diaphyseal fractures in adult is accepted as best method of treatment.